Which of the following components is not considered in the definition of 'Metabolic Syndrome'?
1. High LDL
2. Low HDL
3. Abdominal obesity
4. Hypertension

Correct answer: 1. High LDL

Explanation: Ref: KV Krishna Das - Clinical Medicine 4th Edition pg no:29 The combination of abdominal obesity with metabolic risk factors such as hyperglycemia and dyslipidemia and hypertension is termed "metabolic syndrome"